Choriocarcinoma is differentiated from invasive mole (chorio-adenoma destruens) by:
1. Presence of high titre of urinary chorionic gonadotrophin
2. Presence of cannon ball shadow in the lungs
3. Absence of villi structure on histological examination of the lesion
4. All of the above

Correct answer: 3. Absence of villi structure on histological examination of the lesion

Explanation: Choriocarcinoma is characterised by absence of villi
High titre of urinary chorionic gonadotrophin and cannon ball shadow in the X-ray lungs are found in both choriocarcinoma and invasive mole.